In which of the following types of carcinoma breast, comedo growth pattern is seen ?
1. Ductal carcinoma in situ
2. Medullary catcinoma
3. Lobular carcinoma in situ
4. Infiltrating lobular carcinoma

Correct answer: 1. Ductal carcinoma in situ

Explanation: Ductal Carcinoma In Situ(DCIS) charcterised by: - intraductal carcinoma without invasion to basement membrane. -Types are solid,comedo with necrosis,cribriform,papillary -nipple discharge and small swellings are the paresentations. SRB's Manual of Surgery.Edition -5. Pg no:532.